Which is the most important feature to differentiate carcinoma in situ from invasive carcinoma?
1. Metastasis
2. Anaplasia
3. Number of mitotic spindles
4. Breach in basement membrane

Correct answer: 4. Breach in basement membrane

Explanation: Penetration of basement membrane is the hallmark of invasive carcinoma. In carcinoma in situ basement membrane is not  involved.